Losartan is:
1. ACE inhibitor
2. Angiotensin receptor blocker
3. Ca++ channel blocker
4. Ganglion blocker

Correct answer: 2. Angiotensin receptor blocker